Which one of the following is False about Dent's disease
1. X - Linked recessive disorder
2. Mutation in sodium  - potassium - chloride Co - transporter
3. Hypercalciuria
4. Recurrent kidney stones

Correct answer: 2. Mutation in sodium  - potassium - chloride Co - transporter

Explanation: It is due to mutations in CLCN5, a Chloride transporter of the proximal tubule.